Vocal cords are abducted by:
1. Cricothyroid
2. Posterior crico-arytenoid
3. Lateral crico-arytenoid
4. Thyro-arytenoid

Correct answer: 2. Posterior crico-arytenoid

Explanation: Ans. B i.e. Posterior crico-arytenoid USCLES ORIGIN INSERTION INNERVATION ACTION Cricothyroid (Located on external aspect) Anterolateral part of cricoid cartilage Inferior margin & inferior horn of thyroid cartilage External laryngeal stretches & tenses vocal fold Post. cricoarytenoid (Safety muscle of larynx) Post. surface of lamina of cricoid cartilage Muscular process of arytenoid cartilage Reccurent laryngeal Abduct vocal fold Tensor of vocal cord during phonation Lateral cricoarytenoid Arch of cricoid cartilage Muscular process of arytenoid cartilage Reccurent laryngeal Adduct vocal fold Arytenoid transverse/interarytenoid oblique fibers One arytenoid cartilage Another arytenoid cartilage Reccurent laryngeal Close intercailagenous part of rima glottidis Adduct vocal cord control laryngeal inlet Thyroarytenoid Post. surface of thyroid cartilage Muscular process of arytenoid cartilage Reccurent laryngeal Adduct vocal cord Vocalis Depression b/w laminae of thyroid cartilage Part of vocal ligament & vocal process of arytenoid cartilage Reccurent laryngeal Relaxes pot. vocal ligament while maintaining tension of ant. part